Immersion syndrome is also called as
1. Hydrocution
2. Wet drowning
3. Dry drowning
4. Secondary drowning

Correct answer: 1. Hydrocution

Explanation: Immersion Syndrome (Hydrocution): Death in immersion syndrome is due to cardiac arrest as a result of vagal inhibition. It is produced by (i) cold water stimulation by water striking the epigastrium and (ii) by cold water entering the ear drums, mucosa of pharynx or Larynx. Alcohol increases such effects due to general vasodilatation. Reff: The synopsis of forensic medicine & Toxicology 28th edition pg:191